The spinal cord in infants ends at the level of
1. L1
2. L2
3. L3
4. La

Correct answer: 3. L3

Explanation: C i.e. L3